All of the following statements about Thrombotic thrombocytopenic purpura (TTP) are true, Except :
1. Microangiopathic Hemolytic Anemia
2. Thrombocytopenia
3. Normal complement levels
4. Grossly abnormal coagulation tests

Correct answer: 4. Grossly abnormal coagulation tests

Explanation: Answer is D i.e. (Grossly abnormal coagulation tests) Tests of coagulation are essentially normal in Thrombotic Thrombocytopenic Purpura (TTP). Clinical Pentad + Normal Tests for coagulation : TTP Clinical Pentad of TTP